Following is a contact poison -
1. BHC
2. BaSO4
3. A + B of above
4. Paris green

Correct answer: 1. BHC

Explanation: Insecticides are substances used to kill insects.They are 3 gruops: contact poison,stomach poison,fumigants. Contact poisons- BHC,DDT,lindanediazinon,malathion,fenthion. Stomach paoisons are paris green and sodium flouride . Fumigants are hydrogencyanide,methyl bromide,sulpher dioxide. Parks textbook of preventive and social medicine.K Park. Edition 23.Pg no: 783